Preauricular sulcus helps in detection of
1. Age
2. Race
3. Sex
4. height

Correct answer: 3. Sex

Explanation: The preauricular sulcus is a part of the pelvis. it is used to identify the sex of an individual. it is not frequent narrow shallow in males and it is more frequent broad and deep in females. REF: The Synopsis of Forensic Medicine and Toxicology 29th edition page no: 36.